The method most suitable for MTP in 3rd month of pregnancy is:
1. Dilatation and curettage
2. Extra amniotic ethacridine
3. Hysterectomy
4. Suction and evacuation

Correct answer: 4. Suction and evacuation

Explanation: Suction evacuation is a quick and efficient method of emptying a pregnant uterus, up to 12 weeks of gestation. Reference:Mudaliar and Menon's clicks obstetrics,12th edition,page no:465